Positive health indicators of nutritional status include all of the following EXCEPT:
1. Anthropometric measurements of pre-school children
2. Height of school children at school entry
3. Weight of antenatal mothers
4. Prevalence of low birth weight

Correct answer: 3. Weight of antenatal mothers

Explanation: (Weight of antenatal mothers) Nutritional status indicators Nutritional status is a positive health indicator. Three nutritional status indicators are considered important indicators of health status: a. Anthropometric measurements of pre-school children b. Height of school children at school entry c. Prevalence of low birth weight (< 2.5kg)